Magnesium sulphate potentiates the hypotensive action of -
1. Methyldopa
2. Nifedipine
3. Enalapril
4. Hydralazine

Correct answer: 2. Nifedipine

Explanation: ans-B